Spring ligament consists of all except ?
1. Plantar calcaneocuboid ligament
2. Plantar calcaneonavicular ligament
3. Medial calcaneonavicular ligament
4. Lateral calcaneonavicular ligament

Correct answer: 1. Plantar calcaneocuboid ligament

Explanation: Ans. is 'a' i.e., Planter calcaneocuboid ligamentThe spring ligament (Plantar calcaneonavicular ligament) is a group of ligaments which connect calcaneum to navicular.It consists of :?i) Superomedial ligament.ii) Medioplantar oblique ligament (medial or intermedial calcaneonavicular ligament).iii) nferoplantar longitudinal ligament (Lateral calcaneonavicular ligament).The spring ligament or plantar calcaneonavicular ligament is powerful.It is attached posteriorly to the anterior margin of the sustentaculum tali, and anteriorly to the plantar surface of the navicular bone between its tuberosity and articular margin.The head of the talus rests directly on the upper surface of the ligament, which is covered by fibrocartilage.The plantar surface of the ligament is supported by the tendon of tibialis posterior medially, and by the tendons of flexor hallucis longus and flexor digitorum longus, laterally.